The pathways followed by corrosive acids in stomach is called -
1. Curling ulcer
2. Cushing ulcer
3. Magenstrasse
4. None

Correct answer: 3. Magenstrasse

Explanation: Ans. is 'c' i.e., Magenstrasse o Magenstrasse is the term applied to the pathway acidic agents follow in stomach.o The pathway of acids and alkalis in food filled stomach starts along the lesser curvature of the stomach and leads to the pylorus, which explains the location of greatest damage in food filled stomach,o Stomach without food have significant injury in the lower half of two thirds and may have sparing of fundus.Magenstrasse is the term applied to the pathway acidic agents followShaded region indicates the area of greatest injury caused by acid ingestion irt a food-frlled stomachShaded region indicates the area of greatest injury caused by acid ingestion in an empty stomach